Among the following, the maximum redox potential is for:
1. NADH/NAD
2. Succinate/Fumarate
3. Ubiquinone
4. Fe+3/ Fe+2

Correct answer: 4. Fe+3/ Fe+2

Explanation: D i.e. Fe2+ Because electrons tend to flow spontaneously from carries of lower redox potential (Edeg) to carries of higher redox potential. The order (sequence) of electron carriers in ETC of mitochondria (and so the increasing order of redox potential) is Substrate --> NADP+ /NADPH --> NADVNADH --> NADH dehydrogenase (FMN) / NADH dehydrogenase (FMNH2) --> FAD/FADH2 --> Ubiquinone or Coenzyme Q --> Fe3+ / Fee* in cytochromes b --> C --> a -+ a3 --> 02